The Hb level is healthy women has mean 13.5 g/dl and standard deviation 1.5 g/dl, what is the Z score for a woman with Hb level 15.0 g/dl :
1. 9
2. 10
3. 2
4. 1

Correct answer: 4. 1

Explanation: Z-score indicates how much an observation is bigger or smaller than mean in units of S.D. Z = (Observation - Mean)/S.D Z = (15-13.5)/1.5 = 1 Ref: Park's Textbook Of Preventive And Social Medicine By K. Park, 19th Edition, Page 702; Park's Textbook Of Preventive And Social Medicine By K. Park, 18th Edition, Page 647; Methods in Biostatistics: For Medical Students and Research Workers By BK Mahajan, Page 82; High-Yield Biostatistics, By Anthony N. Glaser, Page 15